Delphi method when adapted to face to face meeting is referred as:
1. Adapted Delphi method
2. Mini-Delphi method
3. ETE method
4. Both 2 and 3

Correct answer: 4. Both 2 and 3

Explanation: Mini-Delphi or Estimated-Talk-Estimate (ETE): The delphi technique when adapted for use in face-to-face meeting is called as mini-delphi.